Ophthalmia neonatorum is:
1. Inflammation of the conjunctiva occurring in an infant less than 30 days old
2. Any discharge/watering from the eye in first week of life
3. Always caused by gonococci
4. All of the above

Correct answer: 1. Inflammation of the conjunctiva occurring in an infant less than 30 days old

Explanation: Ans. Inflammation of the conjunctiva occurring in an infant less than 30 days old